Kuppuswamis's classification is based on all except -
1. Income
2. Occupation
3. Education
4. Type of house

Correct answer: 4. Type of house

Explanation: Kuppuswamis's classification is based on 1.education 2.occupation 3.income which is not based on type of house ref ;(page no;746)25td edition of PARK's textbook of Preventive and Social medicine